Maximum damage to esophagus is with:
1. H2SO4
2. Sodium hydroxide
3. Acetic acid
4. Nitric acid

Correct answer: 2. Sodium hydroxide

Explanation: Ans. Sodium hydroxide